The medial boundary of the anatomical snuffbox is formed by the:
1. Ext. Pollicus brevi
2. Ext Carpi radialis longus
3. Extensor pollicus longus
4. Ext Carpi radialis brevis

Correct answer: 3. Extensor pollicus longus

Explanation: Ans. (c) Extensor pollicus longusGray's 41st ed./790* The anatomical snuffbox is formed by the tendons of extensor polloicis longus and brevis, and abductor pollicis longus.* The radial artery running in the floor of the snuffbox, and the radial nerve passing to the dorsum of the hand.* Boundaries of snuffbox:# Postero-medial border is the tendon of the extensor pollicis longus.# Antero-lateral border is a pair of parallel and intimate tendons of the extensor pollicis brevis and the abductor pollicis longus.# The proximal border is formed by the styloid process of the radius.# The distal border is formed by the approximate apex of the schematic snuffbox isosceles.